Tectal breaking is seen in -
1. Dandy-walker malformation
2. Arnold-chiari malformation
3. Aqueductal stenosis
4. Third ventricular tumor

Correct answer: 2. Arnold-chiari malformation

Explanation: Arnold Chiari malformation  :

It is herniation of tonsils of cerebellum and medulla oblongata through Foramen magnum into vertebral canal. This results in blockage of exits in the roof of the fourth ventricle (foramen of Magendie & Luschka) causing hydrocephalus. Schwartz mentions that —
"there is a dorsal kink in the cervicomedullary junction and breaking of the Quadrigeminal plate."
The quadrigeminal plate is the dorsal part of the midbrain and its another name is Tectum.